Urination in the human subject is decreased by
1. Nicotinic agonists
2. AChase inhibitors
3. muscarinic agonists
4. muscarinic antagonists

Correct answer: 4. muscarinic antagonists

Explanation: ANTICHOLINERGIC DRUGS (Muscarinic receptor antagonists, Atropinic, Parasympatholytic) Smooth muscles:- All visceral smooth muscles that receive parasympathetic motor innervation are relaxed by atropine (M3 blockade). Tone and amplitude of contractions of stomach and intestine are reduced; the passage of chyme is slowed--constipation may occur, spasm may be relieved. Atropine has relaxant action on ureter and Urinary bladder; urinary retention can occur in older males with prostatic hypertrophy. However,this relaxant action can be beneficial for increasing bladder capacity and controlling detrusor hyperreflexia in neurogenic bladder/enuresis. Ref:- kd tripathi; pg num:-114,115